Which one of the following fungus does NOT infect hair? rpt
1. Epidermophyton
2. Microsporum
3. Trichophyton
4. Trichosporon

Correct answer: 1. Epidermophyton

Explanation: trichophyton- hair, skin and nail. microsporum- hair and skin. epidermophyton- skin and nail. REF:Baveja textbook of microbiology 4th edition.